A 32-week-pregnant woman with a history of two previous mid-trimester abortions presents with regular contraction of the uterus. The cervix is 2 cm dilated. All the following are done except
1. Tocolytics
2. Dexamethasone
3. Antibiotics
4. Emergency encirclage

Correct answer: 4. Emergency encirclage

Explanation: Circlage operation - the operation should be done around 14 weeks of pregnancy or at least two weeks earlier than the lowest period of previous wastage, as early as the 10th weeks Second-trimester abortion - mostly due to cervical incompetence.